Which of the following statements is true about hapten -
1. It induces brisk immune response
2. It needs carrier to induce immune response
3. It is a T-independent Antigen
4. It has no association with MHC

Correct answer: 2. It needs carrier to induce immune response

Explanation: Haptens are small molecules that elicit an immune response only when attached to a large carrier such as a protein Ref: Ananthanarayan & Panikers textbook of microbiology 9th edition pg:87